Mid systolic click is classically heard in?
1. Mitral valve prolapse
2. Hamman- rich syndrome
3. Rheumatic aortic regurgitation
4. Congenital Mitral stenosis

Correct answer: 1. Mitral valve prolapse

Explanation: MItral valve prolapse "Midsystolic click" are virtually synonymous with prolapse of the mitral valve toward the left atrium during systole. Result of myxomatous degeneration of the valve with prolongation of the valve or chordate tendinae. Abnormal ratio between the length of the mitral apparatus and the volume of the left ventricular chamber. Ventricular systole proceeds and ventricular volume declines, the valve cannot be held in place. The valve then slips and as it is caught again to be held in place by subvalvular tissue, the sudden cessation in motion creates a high frequency sound, the mid-systolic click. Disease Feature Hamman Rich syndrome Idiopathic interstitial lung disease Rheumatic aortic regurgitation Can lead to early diastolic murmur In severe AR, mid diastolic murmur will be heard and is called Austin flint murmur Congenital mitral stenosis Leads to mid diastolic murmur with presystolic accentuation